All are true regarding antiarrhythmic, EXCEPT :
1. Verapamil belongs to second group drugs
2. Contraindicated in Sick sinus syndrome
3. It is contraindicated in complete heart block.
4. It depresses heart rate

Correct answer: 1. Verapamil belongs to second group drugs

Explanation: Ans. is 'a' i.e. Verapamil belongs to second group drugs Verapamil is a calcium channel blocker. It belongs to class IV anti-arrhythmic drugs. Electrophysiological properties of verapamil. Among the Ca2+ channel blockers, verapamil has the most prominent cardiac electrophysiological action. It is a cardio depressant drug. Specific effects of verapamil. 1. S.A. nodal atomicity - decrease 2. Ventricular atomicity - decrease 3. A-V nodal ERP - increase 4. PR interval - increase Verapamil A. Uses as Antiarrhythmic PSVT - Preferred for PSVT. The drug of choice for PSVT is Adenosine* Control ventricular rate in AF or AFI. B. Contraindications 1) Partial heart block* 2) Sick sinus* 3) Ventricular arrhythmia (ppt-VF)* 4) Digitalis toxicity (Additive A-V block)*